Which is not a part of basal ganglia?
1. Caudate nucleus
2. Thalamus
3. Lenticular nucleus
4. Globus pallidus

Correct answer: 2. Thalamus

Explanation: Ans. B ThalamusRef: Textbook of Neuroanatomy pg. 82,83Basal ganglia include following nuclei-* Caudate nucleus* Putamen* Globus pallidus* Subthalamic nucleus* Substantia nigraLenticulate nucleus = putamen + globus pallidusFunction of basal ganglia--Planning and programming of movements.